All are corneal signs of Trachoma except
1. Hebe follicles
2. Pannus
3. Opacity
4. Arlt's line

Correct answer: 4. Arlt's line

Explanation: (Refer: AK Khurana Comprehensive Ophthalmology, 6th edition, pg no. 67 - 71) Arlt's line is a conjunctival sign (not corneal)Signs of TrachomaConjunctival signs:- Congestion, conjunctival follicles (boiled sagograin like), Papillary hyperplasia, conjunctival scarring (Arlt's line), ConcretionCorneal signs:- superficial keratitis, Herbert follicles, pannus, Corneal ulcer, Herbert pits, corneal opacity Arlt's line is a thick band of scar tissue in the conjunctiva of the eye, near the lid margin, that is associated with eye infections. Arlt's line is a characteristic finding of trachoma, an infection of the eye caused by Chlamydia trachomatis.